A 70 kg patient needs to be started on nitroglycerine (NTG) infusion. A 5 ml ampoule contains 5 mg/ml NTG. One ampoule is added to normal saline and to make a total of 500 ml solution. Calculate the rate of infusion if NTG is required at a rate of 10 mcg/min. (1 micro drip = 60 drops/ml )
1. 12 drops/min
2. 14 drops/min
3. 15 drops/min
4. 16 drops/min

Correct answer: 1. 12 drops/min

Explanation: Dose to be given = 10 mcg/min As, one ampoule (5 ml) is mixed with normal saline to make 500 ml volume, Means 500 ml of solution contains = 5*5 = 25 mg NTG = 25000 mcg NTG 25mg -----500ml 1mg----500/25 10mcg -10*10 -3-----0.2ml So, we need to infuse 0.2 ml/min of the solution As, 1 ml = 60 drops So, 0.2 ml = 60/1 * 0.2 = 12 drops So, we need to infuse 12 drops/min